Decarboxylation of which of the following amino acids yields a potent vasodilator?
1. Glutamate
2. Arginine
3. Histidine
4. Serine

Correct answer: 3. Histidine

Explanation: Decarboxylation of amino acids produces biogenic amines. Pyridoxal phosphate serves as a cofactor in the breaking of Carbon-Carbon bond. This reaction does not require ATP. All the decarboxylases are lyases (EC4). Amino acid Biogenic amine Glutamate Gamma-amino butyric acid (GABA) Histidine Histamine (Vasodilater) 5-hydroxy tryptophan Serotonin (5-Hydroxy tryptamine) Tyrosine Tyramine